Child-pugh score is used for
1. Hepatic encephalopathy
2. Uremic encephalopathy
3. Chronic liver disease
4. Head injury

Correct answer: 3. Chronic liver disease